A sewer worker presents with highgrade fever, neck rigidity, and signs of meningismus. Laboratory findings are suggestive of renal failure and elevated liver enzymes. The most appropriate drug to be prescribed in this case is ____
1. Ciprofloxacin
2. Pencillin
3. Cotrimoxazole
4. Azithromycin

Correct answer: 2. Pencillin

Explanation: The clinical picture is suggestive of leptospirosis. Hence, the drug to be prescribed in this case is penicillin. Following points are in or of leptospirosis: A sewer (an underground conduit for carrying off drainage water and waste matter) worker Signs of meningismus Laboratory diagnosis of renal failure and elevated liver enzymes (Weil's disease) Reference: Ananthanarayan and Paniker's Textbook of Microbiology Tenth edition